United Nation health agencies excluding WHO are ?
1. UNICEF
2. FAO
3. UNESCO
4. All

Correct answer: 4. All

Explanation: Ans. is 'All' United nations agencies (other than WHO) UNICEF (United nations international children's emergency fund). UNESCO FAO (Food & agriculture organization) UNDP (United nation development Programme) ILO (International labour organization) UNFPA (UN fund for population activity).